Which of the following is a skeletal muscle relaxant that acts as a central α2 adrenergic agonist :
1. Tizanidine
2. Brimonidine
3. Chlormezanone
4. Quinine

Correct answer: 1. Tizanidine